A patient with engorged neck veins, BP 80/50 and pulse rate of 100 following blunt trauma to the chest . Diagnosis of
1. Pneumothorax
2. Right ventricular failure
3. Cardiac tamponade
4. Hemothorax

Correct answer: 3. Cardiac tamponade

Explanation: Ref Harrison 19 th ed pg 1573-1574 Cardiac tamponade should be suspected in any patient who has a rapid down hill course and exhibits the features of rising venous pressure and falling arterial pressure following blunt trauma to the chest.